What is maxillary air sinus?
1. Paranasal air sinus situated close to maxilla
2. Venous sinus situated close to maxilla
3. Paranasal air sinus situated in maxilla
4. Venous sinus extending in to the maxilla

Correct answer: 3. Paranasal air sinus situated in maxilla